For biometric studies of the eyeball best pulse echo technique on ultrasonography is:
1. A Scan
2. B Scan
3. C Scan
4. All of the above

Correct answer: 1. A Scan

Explanation: Ans. A Scan